All of the following are true about Primary Sjogren's syndrome, except:
1. May be seen in children
2. Sensation of sand or gravel in eyes
3. Associated with rheumatoid arthritis
4. Salivary gland enlargement

Correct answer: 3. Associated with rheumatoid arthritis

Explanation: Answer is C (Associated with Rheumatoid Arthritis): Kelly's Rheumatoid arthritis is associated with Secondary Sjogren's Syndrome and not Primary Sjogren's Syndrome. Primary Sjogren's Syndrome No Connective Tissue /Chronic inflammatory disorder Secondary Sjogren's Syndrome Underlying Connective Tissue / Chronic inflammatory disorder Keratoconjunctivitis Sicca (Sensation of sand or gravel in eyes) and salivary gland enlargement are typical symptoms of Sjogren's syndrome (Both Primary and Secondary). Primary Sjogren's syndrome typically affects women in their middle age (Female to male ratio = 9:1) but it may occur at any age including childhood. Primary Sjogren's syndrome has been reported infrequently in children with onset as early as 5 years of age. The presence of symptoms and signs of Sjogren's 's syndrome (Dry eyes; Dry mouth; Salivary Gland Enlargement) in the setting of another connective tissue disease or chronic inflammatory pathology like Rheumatoid Arthritis, SLE, Systemic Sclerosis by definition is termed as Secondary Sjogren's Syndrome.